Marker of small cell cancer of lung is:
1. Chromogranin
2. Cytokeratin
3. Desmin
4. Vimentin

Correct answer: 1. Chromogranin

Explanation: Ans. (a) Chromogranin(Ref: Robbins 9th/pg 717)Electron microscopy of Small cell Carcinoma lung: dense- core neurosecretory granules Q releasing neuroendocrine markers such as chromogranin Q, synaptophysin Q, and CD57 Q, parathormone-related protein Q